A child with jaundice being given food intravenously. Which of the following can occur out of it –
1. Infection
2. Hyperglycemia
3. Metabolic acidosis
4. All of these

Correct answer: 4. All of these

Explanation: Complications of parentral nutrition in children 

Infections                     
Liver dysfunction
Hyperglycemia   
Metabolic acidosis
Hyperlipidemia
Electrolyte imbalance